Schiller- Duval bodies is seen in
1. Choriocarcinoma
2. Embryonal cell Ca
3. Endodermal sinus tumour
4. Immature teratoma

Correct answer: 3. Endodermal sinus tumour

Explanation: Ans. is 'c' i.e., Endodermal sinus tumor Yolk sac tumor (endodermal sinus tumor or infantile embryonal carcinoma) --> Schiller - Duval bodies. Leydig (interstitial) cell tumor -3 Reinke crystalloids. Note : - Rienke crystals are also seen in the hilus cell tumor of ovary.